James lind is known for -
1. Germ theory of disease
2. Multifactorial causation of disease
3. Prevention of scurvy by fruits
4. None

Correct answer: 3. Prevention of scurvy by fruits

Explanation: Ans. is 'c' i.e., Prevention of scurvy by fruits Germ theory of disease --) Louis pasteur Spontaneous generation theory Aristotle Multifactorial causation of disease --) Pattenkoffer. o Intake of fresh (citrus) fruits in prevention of scurvy - James Lind o Term 'Vaccination Edward Jenner o Term 'Vaccine' --* Louis Pasteur o Life cycle of plasmodium --> Ronald Ross o Transmission of yellow fever Walter Reed o First vaccine developed Small pox (Edward Jenner) o First antibiotic --> Penicillin (Alexander Fleming) o Growth chart -3 David Moley